Co-enzyme used in transamination
1. NAD
2. Biotin
3. Pyridoxal phosphate
4. Riboflavin

Correct answer: 3. Pyridoxal phosphate

Explanation: Pyridoxal phosphate (active form of vitamin B6) is the coenzyme for transamination reactions.